Mikulicz and russel bodies are characteristic of -
1. Rhinoscleroma
2. Rhinosporidiosis
3. Plasma cell disorder
4. Lethal midling granuloma

Correct answer: 1. Rhinoscleroma

Explanation: Ans. is 'a' i.e., Rhinoscleroma o Biopsy of rhinoscleroma show's infiltration of submucosa writh plasma cells, lymphocytes, eosinophils, Mikulicz cells and Russell bodies. The latter two are the diagnostic features of the disease,Rhinoscleromao The causative organism is Klebsiella rhinoscleromatisor Frisch bacillus ^ which can be cultured from the biopsy material. The disease is endemic in several parts of world. In India, it is seen more often in northern than in the southern parts. Biopsy shows infiltration of submucosa with plasma cells, lymphocytes, eosinophils, Mikulicz cells & Russell bodies. The latter two are diagnostic features of the disease. The disease starts in the nose & extends to nasopharynx, oropharynx, larynx, trachea & bronchi. Mode of infection is unknown. Both sexes of any age may be affected.